Which of the following is not a classic symptom associated with delirium tremens?
1. Tremor
2. Coarse nystagmus
3. Clouding of consciousness
4. Vivid hallucinations

Correct answer: 2. Coarse nystagmus

Explanation: Vivid hallucinations, Clouding of consciousness and Vivid hallucinations are the classic triad of symptoms of delirium tremens. The symptoms peak at 72-96 hours (3-4 days). Death occurs in 5% of the cases. Autonomic disturbance, ataxia, insomnia, poor attention span, insomnia and dehydration are also symptoms of DT. Coarse nystagmus and ophthalmoplegia are symptoms of Wenicke's enchephalopathy. Ref: A Short Text Book of Psychiatry by Niraj Ahuja, 2006, Page 41